Health care made universally accessible to individuals and acceptable to them is called -
1. Primary health care
2. Essential health care
3. Community health care
4. Social Medicine

Correct answer: 1. Primary health care

Explanation: As a signatory to the Alma-Ata Declaration,the government of India was committed to achieving the goal of Health for All through primary health care approach which seeks to provide universal comprehensive health care at a cost which is affordable (refer pgno:902 park 23rd edition)